The freshly prepared ORS (Oral Rehydration Solution) should not be used after
1. 6 hours
2. 24 hours
3. 18 hours
4. 12 hours

Correct answer: 2. 24 hours

Explanation: Reduced Osmolarity Oral Rehydration Solution (Low Na ORS): WHO NEW ORS
Composition (grams)

Sodium chloride - 2.6
Potassium chloride - 1.5
Sodium citrate - 2.9
Glucose - 13.5
Total -  20.5

Osmolar concentration (mmol/litre)

Sodium - 75
Potassium - 20
Chloride - 65
Citrate - 10
Glucose - 75
Total -245